All are true about anthropometric measurements except:
1. Birth weight triples by 1 year
2. Skinfold thickness is measured in sub scapular region
3. Weight is measured to the nearest 100 gram
4. Standing height is about 1.7 cm less than recumbent length

Correct answer: 4. Standing height is about 1.7 cm less than recumbent length

Explanation: d. Standing height is about 1.7cm less than recumbent length(Ref: Training Course on Child Growth Assessment WHO Child Growth Standards, 2008)If a child <2 years old, measure recumbent length.If>2 years age & able to stand, measure standing height.Standing height is about 0.7cm less than recumbent length.